Uterine blood flow at term:
1. 50 mL/min
2. 450 mL
3. 550 mL
4. 750 mL/min

Correct answer: 4. 750 mL/min

Explanation: Ans is d, i.e. 750 mL/minRef. Dutta Obs 8/e, p 61"Uterine blood flow is increased from 50 mL/min in non pregnant state to about 750 mL near term".Ref Dutta Obs 8/e, p 61